Cyanide taken up by child. First one to be affected in Kreb's cycle is?
1. Aconitase
2. NAD
3. Citrate
4. Acetyl CoA

Correct answer: 2. NAD

Explanation: Cyanide inhibits complex IV of ETC. So, if ETC is inhibited and NADH accumulates. If NADH accumulates, it means NAD depleted. So, TCA is affected because each TCA cycle requires 3 NAD (for Isocitrate Dehydrogenase, alpha-ketoglutarate dehydrogenase and Malate Dehydrogenase). Extra information: Cyanide poisoning: Cyanide is probably the most potent inhibitor of ETC (Complex IV). It binds to Fe3+ of cytochrome oxidase blocking mitochondrial respiration leading to cell death. Cyanide poisoning causes death due to tissue asphyxia (mostly of the central nervous system).